ATT causing orange coloured urine is :
1. Rifampicin
2. Isoniazid
3. Streptomycin
4. Pyrazinamide

Correct answer: 1. Rifampicin